Human placenta is best described as
1. Discoidal
2. Hemochorial
3. Deciduate
4. All the above

Correct answer: 4. All the above

Explanation: Human placenta is discoid in shape hemochorial because of direct contact of chorion with blood maternal deciduate i.e, it is shed at the time of parturition. Ref : Datta Obs 9e pg 25.